Dengue haemorrhagic fever is diagnosed by -
1. Acute onset of high fever, presence of petechiae, epistaxis platelet count>2 lakh
2. Acute onset of high fever, positive tourniquest test, epistaxis ormalena and malena and platelet count>1.5lakh
3. Acute onset high fever 2 to 7 days, associated with hemorrhagic manifestation e.g hemoptysis and platelet count less than 1.5lakh
4. Acute onset of high fever, positive tourniquet test, bleeding gum and platelet count less than 1.0lakh

Correct answer: 4. Acute onset of high fever, positive tourniquet test, bleeding gum and platelet count less than 1.0lakh

Explanation: Dengue hemorrhagic fever is diagnosed by acute onset of fever ,hemorrhagic manifestation (e.g.positive tourniquet test),platelet count <100,000 cells/mm3. Reference:Park's textbook of preventive and social medicine,K.Park,23rd edition,page no:250.